Strong correlation with colorectal cancer is seen in:
1. Peutz-Jegher's polyp
2. Familial polyposis coli
3. Juvenile polyposis
4. Hyperplastic polyp

Correct answer: 2. Familial polyposis coli

Explanation: Answer is B (Familial Polyposis coli) Familial polyposis coli if not treated surgically, colorectal cancer will develop in almost all patients before age 40. -Harrison Familial polrposis coli is a rare condition characterised by appearance of thousands of adenomatous polyps throughout the large bowel. Colonic polyps are rarely present before puberty but are generally evident in affected individuals by 25 years of age. If polyposis coli is not treated surgically, colorectal cancer will develop in almost all patients before age 40. - Harrison Review of Hereditary gastrointestinal polvposis syndromes Hereditary autosomal dominantQgastrointestinal polyposis syndromes High Malignant Potential (histologically adenomas Q) Rare (small) Malignant Potential Q (histologically hamaotnas Q) Syndrome Distribution Associated Syndrome Distribution Associated Familial colonic Polyposis Gardner's syndrome Turcot's syndrome Large intestine Large intestine > small intestine Large intestine None Osteomas Lipomas Fibromas Epidennal cyst Ampullary Ca Desmoid Brain Tumours Peutz Jagher's syndrome Juvenile polyposis syndrome SI > LI > Stomach LI > SI > Stomach Mucocutaneous pigmentations Tumours of ovary, Breast, pacnreas, endometrium Various congenital abnormalities